Zygoma fractures are best seen in:
1. Reduced submentovertex view
2. Submentovertex view
3. Waters view
4. Reverse towne's projection

Correct answer: 3. Waters view

Explanation: By analysing the following diagram, we can conclude that Waters view has high usefulness for viewing coronoid process, orbit, zygoma and maxillary sinus.